Interferon gamma is used for treatment of ?
1. HBV
2. HCV
3. Osteopetrosis
4. Both HBV and HCV

Correct answer: 3. Osteopetrosis

Explanation: Ans. is 'c' i.e., Osteopetrosis Interferon alfa-2b and alfa-2a are used in chronic hepatitis B and C, and in some malignancies. Interferon beta-la is used in - multiple sclerosis. Interferon gamma-lb is used in - chronic granulomatous disease and osteopetrosis.